Fractional curettage is done in all except :
1. Endometrial carcinoma
2. CA cervix
3. Fibroid uterus
4. As part of MTP

Correct answer: 4. As part of MTP

Explanation: As part of MTP